The following statements regarding benzodiazepines are true except -
1. Binds to both GABAA and GABAB receptors
2. They have active metabolites
3. Decreases nocturnal gastric secretion in human being
4. Extensively metabolized by CYP enzymes 3

Correct answer: 1. Binds to both GABAA and GABAB receptors

Explanation: Ans. is 'a' i.e., Binds to both GABAA and GABAB receptors o Benzodiazepines act at GABAA receptors and not at GABAB receptors.